For diagnosis of insanity, maximum limit of observation?
1. 5 days
2. 10 days
3. 30 days
4. 50 days

Correct answer: 3. 30 days

Explanation: Ans. is 'c' i.e., 30 days Insanity is characterized by certain abnormal mental and behavioral patterns. Simply insane means unsound mind, i.e. insane is the person which has unsound mind. Conversely sanity means sound mind (compos mentis). Lucid interval is the period of sanity (sound mind) in an insane person, i.e. period in course of mental illness when there is complete cessation of manifestations of insanity. During this period he is quite normal and can make valid will, sell/purchase property, give valid evidence and is legally responsible for his deeds. Before making a diagnosis of insanity, the patient may be kept under observation in mental hospital or general hospital/nursing home. Patient is kept under observation for 10 days, which can be extended upto maximum 30 days. Two doctors (at least one being a government doctor) should examine the patient separately without consulting each other for at least three examinations